E-cadherin is more often mutated in
1. Diffuse type of gastric cancer
2. Intestinal type of gastric cancer
3. Malignant ulcer of stomach
4. Erosive gastritis

Correct answer: 1. Diffuse type of gastric cancer

Explanation: Hereditary diffuse gastric cancer is an inherited form of gastric cancer. Patients with this disorder, resulting from a gene mutation for the cell adhesion molecule E-cadherin, have an 80% lifetime incidence of developing gastric cancer.Ref: Sabiston 20th edition Pg: 1215